The amount of bleaching powder necessary to disinfect choleric stools, is -
1. 50 gm/lit
2. 75 gm/lit
3. 90 gm/lit
4. 100 gm/lit

Correct answer: 1. 50 gm/lit